If 10 women use IUCD for 10 years and assuming the failure rate of IUCD at 2/HWY, the number of expected accidental pregnancies would be-
1. 1
2. 2
3. 5
4. 20

Correct answer: 2. 2

Explanation: - Given PI=2 ; Time =10 x 12 =120 months ; No. of women = 10 - Number of expected accidental pregnancies = Pearl Index X Time X No. of women / 1200 = 2 x 120 x 10 / 1200 = 2